A homosexual person feels that he is imposed by a female body & persistent discomfort with his sex, diagnosis is -
1. Gender identity disorder
2. Transvestism
3. Voyeurism
4. Paraphillias

Correct answer: 1. Gender identity disorder

Explanation: This patient has:-


The insistence that he is of the other sex (female body is imposed on him).
Persistent discomfort with his sex.


Diagnosis is a gender identity disorder.